Monogolian spots is usually seen at region-
1. Cervicofacial
2. Lumbosacral
3. Deltoid
4. Thoraco lumbar

Correct answer: 2. Lumbosacral

Explanation: B i.e. Lumbosacral